Which of the following condition is associated with radiological 'Spalding sign'?
1. Mummification
2. Maceration
3. Hanging
4. Drowning

Correct answer: 2. Maceration

Explanation: Spalding sign' is a sign of maceration. Loss of alignment and overriding of the bones of the cranial vault occur due to shrinkage of the cerebrum can be seen in X-ray after death of the foetus. The sign will develop earlier with a vertex presentation than with a breech. It may be detected within a few days of death of the foetus. Signs of dead birth other than maceration are rigor mortis at delivery and mummification. Ref: The Essentials of Forensic Medicine and Toxicology by KS Narayan Reddy, 27th edition, Page 382-383.